The order of onset of rigor mortis is:
1. Lower limb -3 thorax -eyelids
2. Eyelids -*thorax -lower limb
3. Thorax -lower limb -eyelids
4. Eyelids -lower limb -*thorax

Correct answer: 2. Eyelids -*thorax -lower limb

Explanation: Eyelids -*thorax -lower limb